Fanconi’s anemia
1. Is a form of inherited aplastic anaemia(AR)
2. Is a form of iron deficiency anaemia
3. Is a form of White cell abnormality
4. All of the above

Correct answer: 1. Is a form of inherited aplastic anaemia(AR)